Vitiligo vulvaris, best treatment is -
1. NBUVB
2. Steroids
3. Coaltar
4. All

Correct answer: 1. NBUVB

Explanation: VITILIGO Acquired,idiopathic disorder characterised by hypomelanosis of skin and hair together with the development of white macules with an absence of melanocytes on microscopy.Types:-1. Localised - segmental and focal.Segmental-one/ more macules distributed in dermatomal or quasi-dermatomal pattern.Focal-one/more macules distributed in a single area but not in a dermatomal pattern.2. Generalised Vitiligo vulgaris- most common.Depigmented macules in symmetrical pattern.AcromucosalUniversal Treatment:Vitiligo vulgarities-NBUVB(wavelength 311-313nm) is effective in the treatment of vitiligo vulgaris.Topical or oral psoralen combined with UV A (320-400nm) irradiation is effective for treating vitiligo. PUVA and MBUVB therapy will stimuate the melanin synthesis. topical therapy with steroids and calcineurin inhibitors is effective in patients with limited extent of disease systemic steroids are useful when new lesions apperear to control the disease activity. fitzpatrick textbook of dermatology, 9th edition,page 1340